Most common cause of empyema is -
1. Bronchopleural fistula
2. Tubercular pneumonia
3. Bacterial pneumonia
4. Pleurisy

Correct answer: 3. Bacterial pneumonia